Wireless capsule endoscopy is done to visualize which of the following condition?
1. Esophageal varices
2. Gastric carcinoma
3. Crohn's disease
4. Ulcerative colitis

Correct answer: 3. Crohn's disease

Explanation: Crohn's disease Wireless capsule endoscopy (WCE) allows direct visualization of the entire small-bowel mucosa. The diagnostic yield of detecting lesions suggestive of active CD is higher with WCE than CT enterography or small-bowel series. WCE cannot be used in the setting of a small-bowel stricture. Capsule retention occurs in <1 % of patients with suspected CD, but retention rates of 4--6% are seen in patients with established CD.